Which of the following is height independent index-
1. Ponderal
2. Brocas
3. Corpulence
4. Lorent'z

Correct answer: 3. Corpulence

Explanation: Corpulence index= Actual weight/Desirable weight. Reference:Park's textbook of preventive and social medicine,K.Park,23rd edition,page no:400.